Which of the following the characteristic feature of subdural hematoma -
1. Convex hyper density
2. Biconvex hypo density
3. Convexo-concave hypo density
4. Concavo-convex hyper density

Correct answer: 4. Concavo-convex hyper density

Explanation: Ans. is 'd' i.e. Concavo-convex hyperdensity .On CT Scan Subdural hematoma - Concavo convex* hyperdensity Epidural hematoma - Biconvex hyperdensity *